Which of the following is seen in 95% of patient with diabetes mellitus -
1. HLAB27
2. HLAB3-B4
3. HLA DR3-DR4
4. HLAA3

Correct answer: 3. HLA DR3-DR4

Explanation: The inheritance of type 1 diabetes is polygenic , with over 20 different regions of the human genome showing an association with type 1 diabetes risk. Most interest has focused on the human leucocyte antigen (HLA) region within the major histocompatibility complex on the short arm of chromosome 6. The HLA haplotypes DR3 and/or DR4 are associated with increased susceptibility to type 1 diabetes in Caucasians and are in 'linkage disequilibrium', i.e. they tend to be transmitted together, with the neighbouring alleles of the HLA-DQA1 and DQB1 genes. The latter may be the main determinants of genetic susceptibility, since these HLA class II genes code for proteins on the surface of cells that present foreign and self-antigens to T lymphocytes (p. 82). Candidate gene and genome-wide association studies have also implicated other genes in type 1 diabetes, e.g. CD25, PTPN22, SH2B3, IL2RA and IL-10. Ref - davisosn 23e p751